Which of the following is false regarding frontal sinusitis ?
1. Pain shows periodicity
2. Most common sinus involved in infants and children
3. Pain is referred to as office headache
4. Tenderness is present just above the medial canthus of eye

Correct answer: 2. Most common sinus involved in infants and children

Explanation: Ans. is 'b' i.e., Most common sinus involved in infants and children Most common sinus involved in infant and children is Ethmoid sinus. Clinical features of acute sinusitis Most common presenting patient's compliant is persistent nasal discharge which can be of any quality (thin, thick, clear, or purulent). Nasal discharge from a sinus infection can be blood - tinged from excessive nose blowing and irritation. The clinical symptoms of acute sinusitis have been classified into major and minor.